When the time of exposure is doubled:
1. The number of photons generated is doubled
2. The energy of photons generated is doubled
3. The velocity of photons is doubled
4. The mass of photons is doubled

Correct answer: 1. The number of photons generated is doubled

Explanation: EXPOSURE TIME (s):
Changing the exposure time—typically measured in fractions of a second (s)—modifies the duration of the exposure and thus the number of photons generated. When the exposure time is doubled, the number of photons generated at all energies in the X-ray emission spectrum is doubled. The range of photon energies is unchanged.